Maximum water reabsorption in the Gastrointestinal tract occurs in
1. Stomach
2. Jejunum
3. Ileum
4. Colon

Correct answer: 2. Jejunum

Explanation: REABSORPTION OF WATER IN THE GIT Jejunum - 5500 ml Ileum - 2000 ml Colon - 1300 ml Total reabsorption - 8800 ml Ref: guyton and hall textbook of medical physiology 12th edition page number:394,395,396